Nerve tested in pupillary reflex is
1. 2nd and 3rd
2. Only 3rd
3. only 2nd
4. 3rd and 5th

Correct answer: 1. 2nd and 3rd

Explanation: Afferent - 2nd nerve.
Efferent - 3rd nerve.